Quantitative test for same group of individuals before and after study is:-
1. Paired t- test
2. Unpaired t- test
3. Z- test
4. Chi-Square test

Correct answer: 1. Paired t- test

Explanation: 1. Z-test for large samples 2. t-test for small samples applied as: a. Unpaired t-test (two independent samples) b. Paired t-test (single sample correlated observations) 3. ANOVA test for 3 or more samples Parametric Tests Non Parametric Tests Based on Normal distribution Non normal distribution Type of data Quantitative Qualitative Compares Means %, Proportions, Fractions Examples Paired t-test Unpaired t-test ANOVA test Sign test Chi-square test Wilcoxan test